Following represents fetal hypoxia except:
1. Excessive foetal movements
2. Meconium in vertex presentation
3. Fetal scalp blood pH > 7.3
4. Heart rate < 100

Correct answer: 3. Fetal scalp blood pH > 7.3

Explanation: Normal fetal scalp pH ranges from 7.25 to 7.35.
Fetal hypoxia is indicated by ‘acidosis’ or fall in fetal scalp pH to values below normal (Not by increase).
It is used to corroborate the significance of fetal CTG (Cardiotocography).

Interpretation of Fetal Scalp blood sampling